Angular bone defects are classified
1. According to the depth of the pockets
2. According to the number of walls involved
3. According to type of pockets
4. According to the number of walls remaining

Correct answer: 4. According to the number of walls remaining